The principal site for granulocytic hemopoiesis in the adult human is:
1. The liver
2. The spleen
3. Red bone marrow
4. Yellow bone marrow

Correct answer: 3. Red bone marrow